An enzyme that protects the brain from free radical injury is
1. Myeloperoxidase
2. Superoxide dismutase
3. MAO
4. Hydroxylase

Correct answer: 2. Superoxide dismutase

Explanation: Reactive oxygen species(ROS) produced in small amounts in all cells during redox reactions that occur during mitochondrial respiration and energy generation. In this reaction, molecular oxygen is reduced by addition of four electrons to generate water. As this reaction is incomplete, toxic intermediates are produced.These intermediates include superoxide, which is converted to H2O2 spontaneously by the action of enzyme superoxide dismutase. MPO: myeloperoxidase Converts H2O2 to highly reactive compound hypochlorite. Present in leucocytes. Refer robbins 9/e p39